Twin peak sign seen in
1. Monochorionic Monoamniotic
2. Monochorionic Diamniotic
3. Dichorionic Diamniotic
4. Dichorionic Monoamniotic

Correct answer: 3. Dichorionic Diamniotic

Explanation: Twin peak or lambda sign it is characterized of dichorionic pregnancies and is due to the chorionic tissue between the two layers of the intertwin membrane at the placental origin . twin peak appears as a triangle with base at chorionic surface and apex in intertwin membrane.